Pericytes are seen in-
1. Arteries
2. Veins
3. Capillaries
4. All of theaove

Correct answer: 3. Capillaries

Explanation: Ans. is 'c' i.e., Capillaries o Pericytes are seen in capillaries and postcapillary venules.o Pericytes are contractile cellso They are more common in venules than in capillaries.